In a 6 months old baby, floppy infant syndrome is seen commonly due to infection with ?
1. Clostridium welchii
2. Clostridium tetani
3. Clostridium Botulinum
4. Clostridium septicum

Correct answer: 3. Clostridium Botulinum

Explanation: Ans. is `c' i.e., Clostridium Botulinum o Botulism causes acute flaccid paralysis --> floppy infant.